The lichenoid eruption known as 'Tuberculids' are seen in which of the skin conditions?
1. Lupus vulgaris
2. Scrofuloderma
3. Lichen scrofulosorum
4. Tuberculosis Cutis Orificialis

Correct answer: 3. Lichen scrofulosorum

Explanation: Lichen scrofulosorum (also known as "Tuberculosis cutis lichenoides") is a rare tuberculid that presents as a lichenoid eruption of minute skin-colored to reddish-brown papules, often perifollicular and are mainly found on the abdomen, chest, back, and proximal parts of the limbs. The eruption is usually associated with a strongly positive tuberculin reaction. Ref: Lee's Dermatology 12th Edition, Page 592; Mycobacterial Skin Diseases By Marwali Harahap, 1989, Page 27